A malignant tumor of childhood, that metastasizes to bones most often is -
1. Wilm's tumor
2. Neuroblastoma
3. Adrenal gland tumors
4. Granulosa cell tumor of ovary

Correct answer: 2. Neuroblastoma

Explanation: Ans. is 'b' i.e. Neuroblastoma Neuroblastoma is the most common tumor of children to metastasize to bones.